Cellular oxidation is inhibited by:
1. Cyanide
2. Carbon dioxide
3. Chocolate
4. Carbonated beverages

Correct answer: 1. Cyanide

Explanation: Cyanide Inhibit cellular oxidation by interfering with electron transport chain. Ref: Lipincott Biochemistry, 2nd Edition, Page 69 ; Textbook of Biochemistry By DM Vasudevan, 3rd Edition, Pages 207, 209